Parathormone has all of the following effects, except
1. Increased bone resorption
2. Increased Ca+2 reabsorption in kidney
3. Increased phosphate reabsorption in kidney J
4. Increased calcitriol synthesis

Correct answer: 3. Increased phosphate reabsorption in kidney J

Explanation: Parathyroid hormone (PTH), also called parathormone or parathyrin, is a hormone secreted by the parathyroid glands that is important in bone remodeling, which is an ongoing process in which bone tissue is alternately resorbed and rebuilt over time.Parathyroid hormone regulates serum calcium through its effects on bone, kidney, and the intestine:In bone, PTH enhances the release of calcium from the large reservoir contained in the bones. Bone resorption is the normal destruction of bone by osteoclasts, which are indirectly stimulated by PTH.In the kidney, Circulating parathyroid hormone influences the reabsorption that occurs in the distal tubules and the renal collecting ducts.PTH reduces the reabsorption of phosphate from the proximal tubule of the kidney.PTH increases the activity of 1-a-hydroxylase enzyme, which converts 25-hydroxycholecalciferol, the major circulating form of inactive vitamin D, into 1,25-dihydroxycholecalciferol, the active form of vitamin D, in the kidney.Ref: Ganong's review of medical physiology;24th edition; page no-377